Factor Xa is necessary for conversion of prothrombin to thrombin
1. Only in the extrinsic pathway
2. Only in the intrinsic pathway
3. As part of both extrinsic and intrinsic pathways
4. Only if the normal blood clotting cascade is inhibited

Correct answer: 3. As part of both extrinsic and intrinsic pathways

Explanation: Ans. (c) As part of both extrinsic and intrinsic pathways(Ref: Robbins 9th/pg 118-119; 8th/pg 119)Activated factor IX along with factor VIIIa (Intrinsic pathway) & factor VIIa (extrinsic pathway), converge to activate Factor X to Xa is necessary for conversion of prothrombin to thrombin (common pathway)